Which of the following is seen in secondary hyperparathyroidism is
1. Chronic hypercalcaemia
2. Chronic hypocalcaemia
3. Chronic hypomagnaesemia
4. Chronic hypermagnaesemia

Correct answer: 2. Chronic hypocalcaemia